Platelet is stored in -
1. 22 ± 2°C
2. - 4°C
3. - 2°C
4. - 20°C

Correct answer: 1. 22 ± 2°C

Explanation: Two methods of storage of platelets.
1.    Liquid storage :
Both whole blood-derived and apheresis platelets concentrate may be stored for 5 days using following some principles.

The temperature must be 20- 24°C.
Storage container must be constructed of a plastic material that allows adequate diffusion of oxygen to meet cells metabolic needs.
Platelets concentrates must be agitated during storage.

2.   Frozen Storage :
The most widely used method for frozen storage employs controlled rate freezing (1°C/min); 5% DMSO as a cryoprotective agent.